Which of the following characterizes the silicate cement:
1. It is pulpal irritant
2. It is highly cariogenic
3. Chemically attaches to the tooth structure
4. It produces thinnest film surface

Correct answer: 1. It is pulpal irritant